Tardy ulnar nerve palsy is seen in ?
1. Excision of elbow joint
2. Fracture of olecrenon process
3. Cubitus valgus
4. Cubitus varus

Correct answer: 3. Cubitus valgus

Explanation: Lateral epicondyle Fracture: Leads to tardy ulnar nerve palsy - Cubitus Valgus deformity followed by non-union of lateral epicondyle fracture. Normal carrying angle of the elbow is 5-15deg of valgus More than this or an asymmetry between the 2 sides is regarded as a valgus deformity. Tardy ulnar nerve palsy- Weakness of the hand with numbness or tingling of the ulnar fingers